Schiller-Duval Bodies are seen in?
1. Teratoma
2. Yolk sac tumor
3. Choriocarcinoma
4. Spermatocytic seminoma

Correct answer: 2. Yolk sac tumor

Explanation: Yolk sac tumor is also called Endodermal sinus tumor.